Order of development of secondary sexual characteristic in male –
1. Testicular development–pubic hair–axillary hair–beard
2. Pubic hair–testicular development–axillary hair – beard
3. Testicular development –beard–pubic hair–axillary hair
4. Axillary hair–beard –pubic hair–testicular development

Correct answer: 1. Testicular development–pubic hair–axillary hair–beard

Explanation: In boys, the first visible sign of puberty and the hallmark of SMR 2 is testicular enlargement.
The sequence of development of secondary sexual characteristic in boys is -

Testicular enlargement —> Penis enlargement > Pubic hair growth --> Peak growth velocity —> Axillary hair —> facial hair.